Renal blood flow contributes what % of the cardiac output?
1. 15%
2. 25%
3. 45%
4. 50%

Correct answer: 2. 25%

Explanation: Ref: W F Ganong. Circulation Through Special Regions. In: Review of Medical Physiology. 21st ed. California: McGraw-Hill Companies; 2003 p 603.Explanation: (See the following table)